Wood's Lamp used in -
1. Tinea pedis
2. Pityriasis versicolor
3. Sporotrichosis
4. All

Correct answer: 2. Pityriasis versicolor

Explanation: Ans. is 'b' i.e., Pitryiasis versicolor